Which is not a NNRTI -
1. Ritonavir
2. Nevirapine
3. Efavirenz
4. Delavirdine

Correct answer: 1. Ritonavir

Explanation: Ans. is 'a' i.e., Ritonavir Antiretroviral drugsa) Nucleoside reverse transcriptase inhibitors (NRTIs) - Zidovudin, Didanosine, Zalcitabine, Stavudine, Lamivudine, Abacavir.b) Nucleotide reverse transcriptase inhibitor - Tenofovirc) Nonucleoside reverse transcriptase inhibitors (NNRTIS) - Nevirapine, Efavirenz, Delavirdine, Etravirine Rilpivirine.d) Protease inhibitors - Ritonavir, Indinavir, Nelfinavir, Saquinavir, amprenavir, Lopinavir, Fosamprenavir, Atazanavir, Darunavir, Tipranavir.e) Fusion inhibitor - Enfuvirtide, Maraviroc.f) Integrase inhibitors - Roltegravir, Elvitegravir.